Amongst the following, thrombolytics are LEAST in:
1. Acute myocardial infarction
2. Peripheral arterial occlusion
3. Hemorrhagic stroke
4. Deep venous thrombosis

Correct answer: 3. Hemorrhagic stroke

Explanation: Ans. C i.e. Hemorrhagic stroke Thrombolytic agents They are used for the treatment of myocardial infarction (heart attack), thromboembolic strokes, deep vein thrombosis and pulmonary embolism to clear a blocked artery and avoid permanent damage to the perfused tissue (e.g. myocardium, brain, leg) and death. They may also be used to clear blocked catheters that are used in long-term medical therapy. Thrombolytic therapy in hemorrhagic strokes is contraindicated, as its use in that situation would prolong bleeding into the intracranial space and cause further damage.